Most common presentation in nasopharyngeal carcinoma
1. Cervical lymphadenopathy
2. Nasal stuffiness
3. Hoarseness of voice
4. Epistaxis

Correct answer: 1. Cervical lymphadenopathy

Explanation: NASOPHARYNGEAL CANCER CLINICAL FEATURES:- Cervical nodal metastases:- This may be the only manifestation of nasopharyngeal cancer. A lump of nodes is found between the angle of jaw and the mastoid and some nodes along the spinal accessory in the posterior triangle of neck. Nodal metastases are seen in 75% of the patients, when first seen, about half of them with bilateral nodes. Ref:- Dhingra; pg num:-252